All of the following decrease the Glomerular filtration rate except -
1. Decreased plasma protein levels
2. Increased tubular hydrostatic pressure
3. Decreased effective filtration surface area
4. Decreased capillary hydrostatic pressure

Correct answer: 1. Decreased plasma protein levels

Explanation: Plasma protein binding of a substance decreases is glomerular filtration. Only unbound substances are filtered.